The only neurons in retina showing action potentials are
1. Rods and cones
2. Bipolar cells
3. Amacrine cells
4. Ganglion cells

Correct answer: 4. Ganglion cells

Explanation: Ganglion cells are the only neurons in retina, that show action potential.